Staph aureus causes -
1. Erythrasma
2. Chancroid
3. Acne vulgaris
4. Bullous impetigo

Correct answer: 4. Bullous impetigo

Explanation: Option 1 Erythrasma Cause :Corynebacterium minutissimum Appears in the folds of the skin In warm or humid climates Option 2 Chancroid/soft sore Cause : H. Ducreyi Painful lymph node, tender non-indurated and bleeding genital ulcer. Option 3 S. aureus doesn't cause acne vulgaris. Option 4 lmpetigo- 2 types :- i) Non-bullous impetigo (Impetigo contagiosum):- Caused by staphylococcus aureus ,streptococcus pyogenes. ii) Bullous impetigo:- Caused by staphylococcus aureus.